Foster Kennedy syndrome is associated with all(o\\fBtLh)e following, except:
1. Ipsilateral Anosmia
2. Contralateral Optic Atrophy
3. Olfactory groove meningioma
4. Contralateral Papilloedema

Correct answer: 2. Contralateral Optic Atrophy

Explanation: Answer is B (Contralateral optic Atrophy): Foster Kennedy Syndrome is associated with ipsilateral optic atrophy and not contralateral optic atrophy The Foster Kennedy syndrome consists of ipsilateral anosmia, ipsilateral optic atrophy and contralateral papilledema